Which among the following is the commonest site of fertilisation in uterine tubes?
1. Isthmic
2. Ampulla
3. Infundibulum
4. Interstitial

Correct answer: 2. Ampulla

Explanation: The uterine tubes, or oviducts, or Fallopian tubes are two muscular tubes with considerable mobility, each measuring about 12 cm in length. Each has a funnel-shaped end, the infundibulum, opening into the peritoneal cavity next to the ovary and with a fringe of finger like extensions called fimbriae. The sequence of regions along each tube is as follows: Infundibulum, Ampulla, the longest and expanded area where fertilization normally occurs, Isthmus, a more narrow region nearer the uterus, and Uterine or intramural part, which passes through the wall of the uterus and opens into the interior of this organ. Ref: Mescher A.L. (2010). Chapter 22. The Female Reproductive System. In A.L. Mescher (Ed), Junqueira's Basic Histology: Text & Atlas, 12e.